Mantle cell lymphomas are positive for all of the following except -
1. CD23
2. CD20
3. CD5
4. Cyclin D1

Correct answer: 1. CD23

Explanation: Mantle cells lymphomas are usually CD23 negative. They are positive for CD5, CD20 and CD43.